There is mutation of gene coding for the ryanodine receptors in malignant hyperthermia. Which of the following statements best explains the increased heat production in malignant hyperthermia?
1. Increased muscle metabolism by excess of calcium ions
2. Thermic effect of blood
3. Increased sympathetic discharge
4. Mitochondria thermogenesis

Correct answer: 1. Increased muscle metabolism by excess of calcium ions

Explanation: A i.e. Increased muscle metabolism by excess of Ca2+ ions